High level of hCG is/are seen in all except :
1. Down syndrome
2. Neural tube defect
3. Germ cell tumor
4. Gestational trophoblastic disease

Correct answer: 2. Neural tube defect

Explanation: Answer- B. Neural tube defect'High level of hCG auld be detected in- multiple pregnancy, hydatiform mole, choriocarcinoma, Down syndrome,Plasma lower levels are found in ectopic pregnancies & in spontaneous abortion.hCG is producedby the syncytiotrophoblast of the placenta.